Carpet tack sign seen in -
1. Syphilis
2. Psoriasis
3. Lupus vulgaris
4. DLE

Correct answer: 4. DLE

Explanation: Carpet tack sign ( tin tack sign) In DLE, characteristic lesions are well-defined erythematous plaques with partially adherent scales entering a patulous follicle. When the scale is removed, its undersurface shows horny plugs that had occupied follicles. This is called the carpet tack or tintack sign.However, carpet tack sign is not diagnostic of DLE. It is also seen in seborrheic dermatitis and pemphigus foliaceous. But in DLE, on removal of scale, bleeding may be seen due to adherent scales unlike in pemphigus foliaceous/seborrheic dermatitis, where the scales are loose. ijdvl journal residents page. Scaly signs in dermatology